The risk groups for pneumococcal pneumonia includes all of the following except:
1. Chronic renal failure
2. Lymphoma
3. Old Age
4. Thalassemia

Correct answer: 4. Thalassemia

Explanation: Asplenia or splenic dysfunction, chronic respiratory disease, chronic heart disease, chronic kidney disease, Diabetes, Immunosuppression/immunocompromised, extremities of age, smoking, alcoholism, crowding, prior hospitalization ..etc are clinical risk groups for pneumococcal infection(Ref: Harrison's 19/e 949)